Mr. X complained of chills and fever following a louse bite. He had rashes all over the body and was delirious at the time of presentation to the hospital and subsequently went into the coma. A provisional diagnosis of vasculitis due to rickettsial infection was made. Which one of the following can be the causative agent?
1. Rickettsia typhi
2. Rickettsia rickettsiae
3. Rickettsia prowazekii
4. Rickettsia akarai

Correct answer: 3. Rickettsia prowazekii

Explanation: R. typhi- Endemic typhus- agent is rat flea R. rickettsial- Rocky mountain spotted fever- the agent is tick R. prowazekii- Epidemic typhus- the agent is louse R. akarai- Rickettsialpox- agent is mite Ref : Ananthanarayana textbook of Microbiology 9th edition Pgno : 405